Oncogenic DNA virus is ?
1. Retrovirus
2. HBV
3. HIV
4. HTLV

Correct answer: 2. HBV

Explanation: Ans. is 'b' i.e., HBV